Least common cause of seizures in AIDS patient is?
1. Toxoplasmosis
2. Cerebral lymphoma
3. Progressive multifocal leukoencephalopathy
4. Cryptococcal meningitis

Correct answer: 3. Progressive multifocal leukoencephalopathy

Explanation: ANSWER: (C) Progressive multifocal leukoencephalopathyREF: Harrisons Internal Medicine 17th edition chapter 182 Table 182-13Causes of Seizures in Patients with HIV InfectionDiseaseOverall Contribution to First Seizure, %HIV encephalopathy24-47Cerebral toxoplasmosis28Cryptococcal meningitis13Primary central nervous system lymphoma4Progressive multifocal leukoencephalopathy1